Testis are developed from?
1. Genital ridge
2. Genital tubercle
3. Wolfian duct
4. Mesonephric duct

Correct answer: 1. Genital ridge

Explanation: Development of testes Each testis develops from the coelomic epithelium that covers the medial side of the mesonephros,of the corresponding side.in the region where the testis is to develop,this germinal epithelium becomes thickened.this thickening is called genital ridge HUMAN EMBRYOLOGY-INDERBIR SINGH TENTH EDITION-PAGE NO:307